Which of the following findings can establish a diagnosis of Diabetes Mellitus:
1. Fasting plasma glucose 100mg/d1 and 2 hour prandial glucose 140 mg/dl
2. Fasting plasma glucose 125 mg/di and 2 hour postprandial glucose 199 mg/dl
3. Symptoms of Diabetes plus random blood glucose of 190 mg/dl
4. Glycosylated Haemoglobin (HbAlC) > 6.5%

Correct answer: 4. Glycosylated Haemoglobin (HbAlC) > 6.5%

Explanation: Answer is D (Glycosylated Haemoglobin (HbA1C) > 6.5%): Glycosylated Haemoglobin (HbAlC) values of > 6.5% represents an independent criteria for diagnosis of Diabetes Mellitus in accordance with the criteria set by the American Diabetic Association, 2011. Criteria for the Diagnosis of Diabetes Mellitus (American Diabetic Association, 2011) Symptoms of Diabetes plus Random blood glucose concentration >11.1 mmol/L (200 mg/d1) or Fasting plasma glucose >7.0 mmol/L (126mg/dL) or HBAIC >6.5% or Two-hours plasma glucose (during an oral glucose tolerance test) >11.1 mmol/L (200mg/dL)